Pseudojaundice is an adverse effect of :
1. Phenytoin
2. Rifabutin
3. Omeprazole
4. Chlorpromazine

Correct answer: 2. Rifabutin